When taking a reline impression for an upper denture,
which is the most common error?
1. Failure to remove undercuts
2. Improperly rounded peripheries
3. Improper establishment of a post dam area
4. Changed centric occlusion

Correct answer: 4. Changed centric occlusion